All of the statements about quarantine are true except
1. It is synonymous with isolation
2. Absolute quarantine is restriction during the incubation period
3. Exclusion of children from schools is an example of modified quarantine
4. Quarantine should not be longer than the longest incubation period

Correct answer: 1. It is synonymous with isolation

Explanation: Quarantine is defined as the limitation of freedom of movement of such well persons or domestic animals exposed to communicable disease for a period of time not longer than the longest usual incubation period of the disease in such manner as to prevent effective contact with those not exposed. In contrast to isolation, quarantine applies restrictions on the healthy contact of an infectious disease (refer pgno:121 park 23 rd edition)